Hydrops fetalis is defined sonographically by
1. One or more fetal effusions
2. Two or more fetal effusions
3. Anasarca
4. Two or more fetal effusions with Anasarca

Correct answer: 2. Two or more fetal effusions

Explanation: The term hydrops refers to excessive accumulation of serous fluid in the body, and strictly defined, hydrops fetalis is edema of the fetus. Traditionally, the diagnosis was made after delivery of a massively edematous neonate, often stillborn. With sonography, hydrops has become a prenatal diagnosis. It is defined as two or more fetal effusions or one effusion plus anasarca.(Ref: William's Obstetrics; 25th edition)